Treatment of choice for Zollinger Ellison syndrome (ZES) is -
1. PPI
2. Somatostatin analogues
3. Streptozocin
4. Sucralfate

Correct answer: 1. PPI